Arterial O2 content is reduced in one of the following
1. Stagnant hypoxia
2. Anemic hypoxia
3. Histotoxic hypoxia
4. Ischemic hypoxia

Correct answer: 2. Anemic hypoxia

Explanation: Arterial PO2/ Dissolved oxygen is normal in anemic hypoxia, but the arterial oxygen content is low. Whereas, in Hypoxic hypoxia, both are low. In case of stagnant hypoxia/ischemic hypoxia and histotoxic hypoxia, both are normal.